Herberts pits are seen in:
1. Herpes keratitis
2. Fuch's dystrophy
3. Diabetes mellitus
4. Trachoma

Correct answer: 4. Trachoma

Explanation: Ans. is 'd' i.e. Trachoma Herbert's pits are highly pathognomic of trachoma.They are found at the limbus*